Increased LDH in Acqueous Humor suggests a diagnosis of :
1. Galactosemia
2. Retinoblastoma
3. Glaucoma
4. Gyrate atrophy

Correct answer: 2. Retinoblastoma

Explanation: B i.e. Retinoblastoma Lactate Dehydrogenase Activity (LDH) is grossly increased in Retinoblastoma. LDH of aqueous humor is often used as a marker for RetinoblastomaQ Lactic Dehydrogenase (LDH) in Acqueous Humor -The enzyme Lactic Dehydrogenase (LDH) has been reported to be present in small quantities in the normal aqueous humor where Isoenzymes 3, 4, and 5 predominate - The activity of Lactic dehydrogenase (LDH) in aqueous is measured as a ratio acqueous LDH / Plasma LDH. The LDH levels in aqueous is grossly increased in Retinoblastoma where the Aqueous/ Plasma ratio of LDH is usually greater than 1.5 (It is usually less than 0.60 in a variety of other conditions) The source of LDH in the aqueous of patients with Retinoblastoma is the release of cytosolic enzymes into the surrounding medium. Retinoblastoma is associated with a high degree of necrosis, which allows more free enzymes to reach the aqueous, and hence a high level of LDH is observed in patients with Retinoblastoma.